Acrodermatitis enteropathica is due to deficiency of:
1. Iron
2. Copper
3. Zinc
4. Magnesium

Correct answer: 3. Zinc

Explanation: Ans: (c) ZincRef.: O.P. Ghai 8th ed. /121B ACRODERMATITIS ENTEROPATHICA (AE)* AE is characterized hy abnormalities in zinc absorption due to defect in intestinal zinc transporter which leads to zinc deficiency.* It is a rare autosomal recessive (AR) disorder which classically present during infancy on weaning from breast milk to formula or cereal which have lower zinc bioavailability than breast milk.* Classical features of AE include: (Mnemonic-"DEAL")# Diarrhea, Depression# Eczematous erosive dermatitis# Alopecia (non scarring), Apathetic look# Lethargy, irritability, whining & crying.